Fatal dose of methanol :
1. 15 ml
2. 30-60 ml
3. 60-250 ml
4. 500 ml

Correct answer: 3. 60-250 ml

Explanation: C i.e. 60-250 ml